Lipid lowering drug that significantly decreases lipoprotein A
1. Fenofibrate
2. Gemfibrozil
3. Rosuvastatin
4. Nicotonic acid

Correct answer: 4. Nicotonic acid

Explanation: Refer katzung 11e p 613 While one group of drugs, statins, lowerscholesterol, the other group, fibrates, is known to take care of fatty acids and triglycerides. In addition, other drugs, such as ezetimibe, colesevelam, torcetrapib, avasimibe, implitapide, and niacin are also being considered to manage hyperlipidemia.